Sulphur containing amino acid is/are
1. Aspartic acid
2. Glutamine
3. Methionine
4. Glycine

Correct answer: 3. Methionine

Explanation: Based on the chemical structure of side chain (R), amino acids are classified into:-

1) Aliphatic amino acids:- Alanine, glycine, isoleucine, leucine, valine. 
2) Hydroxy amino acids:- Serine, threonine, tyrosine.
3) Sulfur containing amino acids:- Cysteine, methionine.
4) Dicarboxylic amino acids:- Aspartic acid (aspartate), glutamic acid (glutamate).
5) Amide containing amino acids:- Glutamine, asparagine (these are amides of dicarboxylic amino acids.
Glutamine is amide of glutamic acid and asparagine is amide of aspartic acid). 
6) Aromatic amino acids:- Phenylalanine, tyrosine, tryptophan.
7) Amino acids or heterocyclic amino acids: - One of the 20 amino acids, proline is an amino (- NH) acid, not an amino (-NH2) acid, as are other 19.